The vitamin which can be used for treatment of hypercholesterolemia is:
1. Thiamine
2. Niacin
3. Pyridoxine
4. VitaminB12

Correct answer: 2. Niacin

Explanation: Ans. (b) NiacinRef.:KDT6th edJ 875* Lipids that are liberated from adipose tissue are used to build very-low-density lipoproteins (VLDL) in the liver, which are precursors of low-density lipoprotein (LDL)* Because niacin blocks the breakdown of fats, it causes a decrease in free fatty acids in the blood and, as a consequence, decreases the secretion of VLDL and cholesterol by the liver.* When niacin is added to statins, it reduces carotid intima-media thickness, a marker of atherosclerosis